The position of arm in posterior dislocation of shoulder is:
1. By the side
2. In internal rotation
3. In adduction
4. In external rotation

Correct answer: 2. In internal rotation

Explanation: Position of arm in posterior dislocation of shoulder It is difficult to diagnose because the patient may have normal contour of shoulder. Patient holds the injured shoulder in internal rotation and examiner cannot externally rotate it. Ref: Rockwood and Green's Fractures in Adult 6/e, Page 1285-1300.